Well-recognised side effects of prolonged Phenytoin use include the following except -
1. Hirsutism
2. Lymphadenopathy
3. Ataxia
4. Hypoglycaemia

Correct answer: 4. Hypoglycaemia